All of the following are components of Epidemiological triad except ?
1. Environment
2. Agent
3. Host
4. Manpower

Correct answer: 4. Manpower

Explanation: Ans. is 'd' i.e., Manpower Epidemiological triad The occurrence and manifestations of any disease, whether communicable or noncommunicable, are determined by the interaction of following three factors. The agent The host The environment